Drugs used in ADHD are –
1. Atomoxetine
2. Methylphenidate
3. Dextroamphetamine
4. All the above

Correct answer: 4. All the above